Following are radiological evidence of Achalasia cardia Except
1. Beak like appearance
2. Dilated tortuous esophagus
3. Presence of air-fluid level
4. Exaggerated peristalsis

Correct answer: 4. Exaggerated peristalsis

Explanation: Achalasia is a rare disease caused by loss of ganglion cells within the esophageal myenteric plexus.The barium swallow x-ray appearance is of a dilated esophagus with poor emptying, an air-fluid level, and tapering at the LES giving it a beak-like appearance.Ref: Harrison's Principles of Internal Medicine; 19th edition; Chapter 347 Diseases of the Esophagus; Page no: 1904